Rett's syndrome is characterized by -
1. Regression of language and motor milestones
2. Hyperactive child
3. Normal weight
4. Macrocephaly

Correct answer: 1. Regression of language and motor milestones

Explanation: Ans. is 'a' i.e., Regression of language and motor milestones Rett's syndromeo Age of onset is around 5 months.o Development may proceed normally until 1 yr of age, when regression of language and motor milestones become apparent.o This is the characteristic features, that they begin to loose their acquired skills, e.g., cognitive and head growth is normal during early period after which there is an arrest of growth,o Acquired microcephaly (Decleration of head growth due to significantly reduced brain weight).o Most children develop peculiar sighing respirations with intermittent periods of apnea that may be associated with cyanosis - Breath holding spells.o Autistic behavior is a typical finding in all patients - Impaired social interaction, language and communication.o Generalized tonic-clonic convulsions occur in the majorityo Feeding disorder and poor weight gain are commono Death occurs in adolescence or in the 3rd decadeo Cardiac arrhythmias may result in sudden, unexpected death.